In prayer Willi syndrome, which of the following is increased
1. A. LH
2. B. FSH
3. C. TSH
4. D. Ghrelin

Correct answer: 4. D. Ghrelin

Explanation: Ghrelin is a growth hormone secreatagogue and the only gut harmone with orexigenic property It is primarily produced in the stomach. In children ,it's value is inversely related with body mass index and insulin values. robbins 8/e 441-2 9/e 444